A patient develops an infection of methicillin-resistant Staphylococcus aureus. All of the following can be used to treat this infection except :
1. Cotrimoxazole
2. Cefaclor
3. Ciprofloxacin
4. Vancomycin

Correct answer: 2. Cefaclor